Antidote of choice for organophosphate and carbamate poisoning is:
1. Physostigmine.
2. Atropine.
3. Tacrine.
4. Rivastigmine.

Correct answer: 2. Atropine.

Explanation: Atropine is an antidote of choice for both organophosphate and carbamate poisoning.